All are neural plate inducers except
1. Notochord appearance
2. High BMP
3. FGF upregulation
4. Prechordal mesoderm

Correct answer: 2. High BMP

Explanation: B i.e. High BMP